Features of dysgerminoma are :
1. Unilateral
2. Post-menopausal
3. Virilising
4. Cut section gritty

Correct answer: 1. Unilateral

Explanation: - dysgerminoma is the most common among the malignant germ cell tumors accounting for 40%. - affects children and young women. - usually unilateral and 15% are bilateral. - solid tumors, soft or rubbery in consistency Reference : textbook of gynaecology Sheila balakrishnan, 2nd edition, pg no: 283